Laugier-Hunziker syndrome is associated with
1. Idiopathic macular oral hyperpigmentation
2. Multiple impacted supernumerary teeth
3. Ankyloglossia
4. Hemifacial atrophy

Correct answer: 1. Idiopathic macular oral hyperpigmentation